The distinct golden colour in transgenic Golden rice is due to presence of
1. Riboflavin
2. β-carotene
3. Vitamin B12
4. Xanthopyll

Correct answer: 2. β-carotene

Explanation: Golden rice:
Variety of rice produced through genetic engineering to boisynthesize beta carotene, a precursor of vitamin A.
The distinct golden colour is due to the beta carotene content.
It is indented to produce a fortified food to be grown and consumed in areas with a shortage of dietary vitamin A. 
Golden rice differs from its parenteral strain by the addition of three beta carotene biosynthesis gene.